Latex agglutination study of the antigen in CSF helps in the diagnosis of
1. Cryptococcus
2. Candidiasis
3. Aspergillosis
4. Histoplasmosis

Correct answer: 1. Cryptococcus

Explanation: Latex agglutination test - cryptococcal capsular polysaccharide antigen can be detected in CSF, serum or urine by latex agglutination test. Ref: Textbook of Microbiology, Ananthanarayan and Paniker; 9th edition